Isotope used for liver scan is:
1. Technetium
2. Its'
3. Cobalt 60
4. None

Correct answer: 1. Technetium

Explanation: Ans. Technetium